Muscles of facial expression develops from
1. I Arch
2. II Arch
3. III Arch
4. IV Arch

Correct answer: 2. II Arch